Kenny Packs were used in the treatment of -
1. Poliomyelitis
2. Muscular dystrophy
3. Polyneuropathies
4. Nerve Injury

Correct answer: 1. Poliomyelitis